20% loss of blood is supplemented by
1. Colloids & Crystalloids
2. Cryoprecipitate
3. Plasma
4. Packed calls

Correct answer: 1. Colloids & Crystalloids

Explanation: (A) Colloids & Crystalloids > Ideally, blood loss should be replaced with crystalloid or colloid solutions to maintain intravascular volume (normovolemia) until the danger of anemia outweighs the risks of transfusion. At that point, further blood loss is replaced with transfusions of red blood cells to maintain hemoglobin concentration (or hematocrit) at that level.> For most patients, that point corresponds to a hemoglobin between 7 and 10 g/dL (or a hematocrit of 21-30%). Below a hemoglobin concentration of 7 g/dL, the resting cardiac output has to increase greatly to maintain normal oxygen delivery